Which of the following is the auto antibody associated with Rheumatoid arthritis -
1. Anti DLE
2. Anti CCP
3. Antids DNA
4. Antihistone

Correct answer: 2. Anti CCP

Explanation: Anti CCP